In Osteogenic sarcoma predominantly histology finding is DELETE
1. Giant cell
2. Osteoid forming tumor cells
3. Fibroblastic proliferation
4. Chondtoblasts

Correct answer: 2. Osteoid forming tumor cells

Explanation: Osteioid bone formation by tumor cells is Diagnostuc if OGS Refer Maheshwari 6th/e p 239